A child suffering from acute diarrhoea is brought to the casualty and is diagnosed as having severe dehydration with pH of 7.23. Serum Na-125, Serum K-3, HCO3 16. The best I.V. fluid of choice is -
1. 3% Saline
2. N/3 Saline + 10% dextrose
3. Normal saline
4. N/3 saline + 5% dextrose

Correct answer: 3. Normal saline